A patient presented with history of few episodes of vomiting and was given an anti-emetic drug by the intern. Few hours later, the patient developed an abnormal posture. Which of the following is likely drug administered to him ?
1. Metoclopramide
2. Ondansetron
3. Domperidone
4. Dexamethasone

Correct answer: 1. Metoclopramide

Explanation: The abnormal posture is likely to be muscular dystonia. Metoclopramide can result in dystonias due to its D2 receptor blocking property in the CNS. Domperidone also blocks D2 receptors but does not cross the blood brain barrier.